Ganciclovir is used in the treatment of
1. Adenovirus
2. Cytomegalovirus
3. EB virus
4. Arenavirus

Correct answer: 2. Cytomegalovirus

Explanation: Ans. is 'b' i.e., Cytomegalovirus Ganciclovir is an antiherpetic antiviral drug. It is active against all Herpetic viruses such as - H. simplex H. Zoster E.B. virus Cytomega lo virus However it is more active against CMV. Because: - Concentration of active inhibitor ganciclovir triphosphate is much higher inside CMV infected cells. Plasma t1/2 of ganciclovir is 2-4 hrs but that inside CMV is > 24 hrs. Because systemic toxicity of Ganciclovir is very high, its use is restricted to CMV infections in immunocompromised patient.